Examination of a patient revealed that he had right sided paralysis of the tongue, left sided hemiparesis and left sided lemniscal sensory loss. Occlusion of which of the following artery result in the following manifestations?
1. Anterior inferior cerebellar artery
2. vb
3. Penetrating branch of vertebral artery
4. Anterior cerebral artery

Correct answer: 3. Penetrating branch of vertebral artery

Explanation: Patient is showing features of medial medullary syndrome. Occlusion of penetrating branch of vertebral artery result in medial medullary syndrome. Medial medullary syndrome is characterised by a triad of:Ipsilateral hypoglossal nerve palsyContralateral hemiparesis with loss of deep sensationOcclusion of posterior inferior cerebellar artery result in Lateral medullary syndrome or Wallenberg syndrome. Patients with occlusion of this vessel develop dysphagia, hoarseness, ipsilateral paralysis of vocal cord, ipsilateral loss of pharyngeal reflex, vertigo, nystagmus, ipsilateral facial analgesia and loss of taste on ipsilateral half of tongue posteriorly. Ref: Vertigo: Its Multisensory Syndromes By Thomas Brandt page 309.